True about Nexplanon is all except
1. Suppress ovulation
2. Induces endometrial atrophy
3. Estrogen subdermal implant
4. Increases cervical mucus viscosity

Correct answer: 3. Estrogen subdermal implant

Explanation: Nexplanon is progestin implant.